The bone tumor seen in children with characteristic "onion-peel" periosteal reaction is?
1. Osteosarcoma
2. Giant cell tumor
3. Ewings sarcoma
4. Osteoid osteoma

Correct answer: 3. Ewings sarcoma

Explanation: ANSWER: (C) Ewing's sarcomaREF: Apley's system of orthopaedics 8'h edition page 190, Tureks orthopaedics 6th edition page 307Repeat from June 2008EWING'S SARCOMA:Highly malignant, undifferentiated peripheral primitive neuro ectodermal tumor (PEN)Most common site is diaphysis of femurCommon in 10-20 year old maleHistopathology shows round cells containing glycogen and reticulin; PAS positive and diastase digestable80-95% tumors possess translocation; t(ll; 22)X Ray reveals laminated periosteal new bone formation also known as "Onion peel appearance"